Triple bonds are found between which base pairs:
1. A-T
2. C-G
3. A-G
4. C-T

Correct answer: 2. C-G

Explanation: Triple bond is present between cytosine and guanosine. Ref: Harper's Biochemistry, 24th Edition, Page 403, 25th Edition, Page 404 ; Textbook of Biochemistry By DM Vasudevan, 3rd Edition, Pages 332, 344